All of the following are removed in radical mastoidectomy except?
1. Chorda tympani
2. Incus
3. Posterior meatal wall
4. Stapes

Correct answer: 4. Stapes

Explanation: Ans. is 'd' i.e., Stapes Radical Mastoidectomyo It is an operation to eradicate disease of the middle ear and mastoid in which mastoid, midd le ear, attic and the antrum are exteriorised into the external ear by removal of posterior meatal wall. All remnants of tympanic membrane, malleus, incus (not the stapes), chorda tympani and the mucoperiosteal lining are removed, and the opening of eustachian tube closed by packing a piece of muscle or cartilage into the eustachian tube.